A 2 years old child without fever develops bone pain, vomiting and features of increased intracranial pressure following excessive medication. The drug most likely to be responsible for this is :
1. Vitamin A
2. Phenothiazine
3. Phenytoin
4. Vitamin D

Correct answer: 1. Vitamin A

Explanation: Hypervitaminosis A result in nausea; vomiting, itching, erythema, dermatitis, exfoliation, hair loss, bone and joint pains, loss of appetite, irritability, bleeding, increased intracranial pressure and chronic liver disease.